Toxin of staphylococcus -
1. Hemolysin
2. Leucocidin
3. Enterotoxin
4. All

Correct answer: 4. All

Explanation: Ans. is 'd' i.e., All